Median nerve injury at the wrist causes -
1. Claw hand
2. Loss of apposition of thumb
3. Policeman's tip deformity
4. Saturday night palsy

Correct answer: 2. Loss of apposition of thumb

Explanation: Injury at the wrist or in carpal tunnel produces low median nerve palsy.
Long flexors of fingers are spared and there is paralysis of thenar muscles only.
Following features are seen : -


Pentest for abductor pollicis Brevis paralysis.
Loss of opposition and abduction of thumb.
Ape thumb deformity
Loss of sensation of lateral 31/2 fingers and lateral 2/3 of palm.


In contrast to high median nerve palsy, pointing index and Benediction test is not seen as long fexors are spared in low median nerve palsy